Steroids are indicated in all of the following forms of tuberculosis except -
1. Meningitis
2. Pericarditis
3. Ileo-Caecal tuberculosis
4. Adrenal involvement

Correct answer: 3. Ileo-Caecal tuberculosis